Urothelium lines all Except:
1. Ureters
2. Minor calyx
3. Urinary bladder
4. Membranous Urethra

Correct answer: 4. Membranous Urethra

Explanation: Membranous urethra